Hygienic pontic is usually recommended in:
1. Maxillary anterior area
2. Mandibular area
3. Maxillary posterior area
4. Mandibular posterior area

Correct answer: 4. Mandibular posterior area